Most important element in treatment of diphtheria ?
1. Antitoxin
2. Tetracycline
3. Erythromycin
4. Penicillin

Correct answer: 1. Antitoxin

Explanation: Ans. is 'a' i.e., Antitoxin Treatment of diphtheria . Administration of diphtherial antitoxin is the most important element in the treatment of respiratory diphtheria. . The primary goal of antibiotic therapy is to eradicate C. diphtheriae. Drugs currently used are erythromycin or procaine penicillin G. alternatives are rifampicin or clindamycin. Prophylaxis of diphtheria . Diphtheria can be controlled by immunisation. The objective of immunisation is to increase protective level of antitoxin in circulation. Three methods of immunisation are available : 1) Active immunisation By administration of toxoid, either formal toxoid or adsorbed toxoid. It is the best method for prevention. . Usually intramuscular injection is given. . Provide herd immunity. . Primary immunization consists of 3 doses at four weeks interval. 2) Passive immunisation . By subcutaneous injection of antitoxin (antidiphtheric serum (ADS)). . This is an emergency measure to be employed when susceptibles are exposed to infection. 3) Combined immunization . Ideally, all cases that receive ADS prophylactically should receive combined immunisation. . This consists of administration of toxoid in one arm and antitoxin in the other.